In a demographic cycle, Late expanding stage indicates -
1. High birth and death rates
2. Decreasing DR and stationary BR
3. Decreasing BR and decreasing DR
4. Low DR and BR

Correct answer: 3. Decreasing BR and decreasing DR

Explanation: Ans. is 'c'i.e., Decreasing BR and decreasing DR o Late expanding stage forms the third stage of a demographic cycle.o The death rate declines more than the birth rate (Birth rate also declines but to a lesser degree) resulting in a net increase in Growth rate.o The population continues to grow because births exceed deaths although BR and DR decline individuallyo India is in this stage o f demographic c\>cle.India has entered the 3rd stage of demographic cycle i.e the Late Expanding phase - ParkThe Demographic cycle has five stages :First stage(High stationary')High birth rate & High death rateSecond stage(Early expanding)Death rate to decline, birth rate remains unchangedThird stage(Late expanding)Death rate declines further, birth rate begins to fall.Birth exceed deaths. India has entered this phaseFourth stage(Low stationary')Low birth rate and low death rateZero growth rate has been recorded in Austria.Very low growth rates (almost stationary) have been seen in UK, Demark, Sweden, BelgiumFifth Stage(Declining)Birth rate lower than death rateGermany and Hungaryo Demographic cyclic is based or Demographic gap also known as Growth rate:Demographic gap/Growth rate = Crude birth rate - Crude death ratei) Demographic gap starts increasing in early part of expanding stage (Early Stage II)ii) Demographic gap is maximum in late pari of expanding stage (Late Stage IF)iii) Demographic gap starts declining in early part of late expanding stage (Early Stage III)Demographic gap is negative in Declining Stage (Stage V)Demographic gap is Narrow in Stage I and Stage IV